The following is not an absolute indication for mounting an orthodontic study cast on an articulator
1. To record and document any CR-CO discrepancy
2. To record and document the excursive paths of the mandible
3. Surgical treatment planning
4. Class II malocclusion with severe tooth material excess of more than 14mm

Correct answer: 4. Class II malocclusion with severe tooth material excess of more than 14mm